Chromatography technique works on the principle of
1. Affinity
2. Ion-exchange
3. Molecular sieving
4. All of the above

Correct answer: 4. All of the above

Explanation: (D) All of the above # CHROMATOGRAPHY usually consists of a mobile phase and a stationary phase. The mobile phase refers to the mixture of substances (to be separated), dissolved in a liquid or a gas.> Stationary phase is a porous solid matrix through which the sample contained in the mobile phase percolates.> Interaction between the mobile and stationary phases results in the separation of the compounds from the mixture.> These interactions include the physico-chemical principles such as adsorption, partition, ion-exchange, molecular sieving and affinity.